Lucio's phenomenon is seen in?
1. Tuberculoid leprosy
2. Lepromatous leprosy
3. Borderline leprosy
4. Borderline Tuberculoid leprosy

Correct answer: 2. Lepromatous leprosy

Explanation: Ans is 'b' i.e. Lepromatous leprosy * Lucio's phenomenon is seen in untreated cases of lepromatous leprosy.Lucio's phenomenon* Lucio's phenomenon is seen in lepromatous leprosy (LL). It occurs in patients who are untreated. Patients develop recurrent crops of large sharply marginated, ulcerative lesions, particularly on lower extrimities. It is due to heavy parasitism of endothelial cell, endothelial proliferation and thrombus formation which lead to ischemic necrosis.